Which of the following structures is NOT found in both the superior and posterior mediastinum?
1. Vagus nerve
2. Esophagus
3. Thoracic duct
4. Trachea

Correct answer: 4. Trachea

Explanation: Since the trachea bifurcates at T4, it is not found in the posterior mediastinum